Which of the following medications is used for treatment of nicotine dependence?
1. Lithium
2. Clonazepam
3. Methylphenidate
4. Bupropion

Correct answer: 4. Bupropion

Explanation: A variety of psychopharmacologic agents, including clonidine, antidepressants, and buspirone, have been used with some success in the treatment of nicotine dependence. Bupropion (Zyban) was approved by the FDA in 1996 for this use. The latest drug is Varenicline, an alpha4 beta2 Nicotinic Acetylcholine Receptor Partial Agonist it is a very effective in tobacco dependence.